The superficial external pudendal artery is a branch of -
1. Femoral artery
2. External iliac artery
3. Internal iliac artery
4. Aorta

Correct answer: 1. Femoral artery

Explanation: Femoral artery branches
-        Superficial

Superficial external pudendal
Superficial epigastric
Superficial circumflex iliac

-        Deep

Profunda femoris
Deep external pudendal
Muscular branches
Descending genicular branch